Partial closure of the nostrils is done as management in
1. Atrophic rhinitis
2. Allergic rhinitis
3. Vasomotor rhinitis
4. Occupational rhinitis

Correct answer: 1. Atrophic rhinitis

Explanation: ref : hazarika 4th ed